Crural Index is -
1. Length of tibia/femur x 100
2. Length of radius/humerus x 100
3. Length of fibula/tibia x 100
4. Length of radius/ulna x 100

Correct answer: 1. Length of tibia/femur x 100

Explanation: Crural index is length of tibia/ femur x 100. It is important for determination of race. ref :k narayana reddy forensic medicine